It is true about seminoma testis that -a) It commonly occurs in the 6th decadeb) An undescended testes is more liable to develop this tumourc) Histologically it resembles dysgerminoma of the ovaryd) It is radioresistant
1. bc
2. c
3. ac
4. ad

Correct answer: 1. bc